In gastrectomy following occurs except -
1. Calcium deficiency
2. Steatorrhoea
3. Fe. deficiency
4. Fluid loss

Correct answer: 4. Fluid loss